Interstitial nephritis is most commonly seen with -
1. Methicillin
2. Ampicillin
3. Amoxycillin
4. Cloxacillin

Correct answer: 1. Methicillin

Explanation: Ans. is 'a' i.e., Methicillin o Hematuria, Albuminuria and reversible interstitial nephritis are the specific adverse effect of methicillin. Remember o Methicillin - Intestitial nephritis o Oxacillin - Hepatitis o Nafcillin - Neutropenia o Ampicillin - Diarrhea